Case control Study is
1. Backward study
2. Forward study
3. Current study
4. Feature study

Correct answer: 1. Backward study

Explanation: (A) Backward study # Case-control is a type of epidemiological study design. Case-control studies are used to identify factors that may contribute to a medical condition by comparing subjects who have that condition (the 'cases') with patients who do not have the condition but are otherwise similar (the 'controls').> Case-control studies are a relatively inexpensive and frequently-used type of epidemiological study that can be carried out by small teams or individual researchers in single facilities in a way that more structured experimental studies often cannot be. They have pointed the way to a number of important discoveries and advances, but their retrospective-backward, non-randomized nature limits the conclusions that can be drawn from them.